True about total fertility rate
1. Average number of children born to a women during reproductive period
2. Average number of daughters born to a mother
3. Not a magnitude of completed family size
4. Average number of live birth per 100 women in a year

Correct answer: 1. Average number of children born to a women during reproductive period

Explanation: Total fertility rate represents the average number of children a woman would have if she were to pass through her reproductive years bearing children at the same rates as the women now in each age group It gives the appropriate magnitude of completed family size Reference : Park's textbook of preventive and social medicine, 23rd edition, Page no:489